Most common type of actinomycosis -
1. Cervicofacial
2. Thoracis
3. Abdomen
4. Brain

Correct answer: 1. Cervicofacial

Explanation: Ans. is 'a' i.e., Cervicofacial Actinomycosis* Most cases are due to A. israelii.* Young males (10-30 years) are most commonly affected* Actinomycosis is a chronic granulomatous infection. It is characterized by the development of indurated swellings, suppuration and the discharge of sulphur granules.* There are following types of actinomycosis1) Oro-cervicofacial# This is the most common type and the most commonly involved site is angle of jaw causing 'lumping jaw'.2) Other types# These are abdominal, thoracic, pelvic (associated with IUCD), CNS, musculoskeletal, actinomycetoma and disseminated.